In which phase of clinical trials, post–marketing surveillance of a drug is carried out:
1. Phase I
2. Phase II
3. Phase III
4. Phase IV

Correct answer: 4. Phase IV